According to G.V.Black's classification restoration on the proximal surfaces of the anterior teeth that does not involve incisal edge is:
1. Class 1
2. Class 2
3. Class 3
4. Class 4

Correct answer: 3. Class 3